Which of the following is not a cardioselective beta blocker -
1. Nebivolol
2. Atenolol
3. Betaxolol
4. Oxprenolol

Correct answer: 4. Oxprenolol

Explanation: Ans. is 'd' i.e., Oxprenolol Selective Px blockers are (cardioselective):1. Atenolol3. Bisoprolol5. Celiprolol7. Metoprolol2. Acebutalol4. Betoxolol6. Esmolol8.Nebivolol o These agents are preferred in DM, hyperlipidemia, PVD, asthma.Selective(b2)Butoxamine (has been removed from 6th/e of KDT)Beta-blockers with intrinsic svmpatheomimetic (partial agonist! Activity:-1. Acebutolol3. Pindolol5. Penbutolol7. Alprenolol9. Celiprolol2. Carteolol4. Bipindolol6. Oxprenolol8. Labetalol o These drugs are partial agonists at pj receptors (apart from having (^-blocking property). These are preferred in patients prone to develop severe bradycardia with fi-blockers therapy as they are P, agonists (Heart receptor) --> stimulating action on heart -> No bradycardia. However, In angina patient, they might precipitate MI due to stimulation of heart should be avoided in angina patients,o Pindolol has maximum intrinsic symathomimetic activity (most potent partial agonist).b-blockers with membrane stabilizing activity1. Pindolol3.Acebutolol5.Carvedilol7. Betaxolol2. Propranolol4. Metoprolol6. Labetalol Lipid insoluble P-blockers1. Acebutolol4. Betoxalol7. Esmolol10. Labetalol2. Atenolol5.Carteolol8.Nodalol11. Pindolol3. Bisoprolol6. Celiprolol9. Sotalol b-blocker with a-blocking activity (Both a + b blocker)1. Carvedilol3.Bucindolol5.Niprodiol7. Medroxalol2. Labetolol4. Bevantolol6. Dilevalol